Reverse splitting Of first heart sound is heard in
1. RBBB
2. LBBB
3. Tricuspid stenosis
4. AR

Correct answer: 2. LBBB

Explanation: Ref Harrison 19 th ed pg 1447 Reversed or paradoxical splitting refers to a pathologic delay in aortic valve closure, such as that which occurs in patients with left bundle branch block, right ventricular pac- ing, severe AS, HOCM, and acute myocardial ischemia. With reversed or paradoxical splitting, the individual components of S2 are audible at end expiration, and their interval narrows with inspiration, the oppo- site of what would be expected under normal physiologic conditions.